Enzyme deficient in Tay Sach disease:
1. Beta glucosidase
2. Sphingomyelinase
3. Hexosaminidase A
4. Beta galactosidase

Correct answer: 3. Hexosaminidase A

Explanation: Tay-Sachs diseaseIt is caused by insufficient activity of the enzyme hexosaminidase A.Hexosaminidase A is a vital hydrolytic enzyme, found in the lysosomes, that breaks down glycolipids.When hexosaminidase A is no longer functioning properly, the lipids accumulate in the brain and interfere with normal biological processes.Hexosaminidase A specifically breaks down fatty acid derivatives called gangliosides; these are made and biodegraded rapidly in early life as the brain develops.